Which of the following tuberculoides is characterized by involvement of sweat glands & hair follicle with non caseating epithelioid granuloma?
1. Lichen scrofulosorum
2. Miliary tuberculosis
3. Papulonecrotic tuberculide
4. Lupus vulgaris

Correct answer: 1. Lichen scrofulosorum

Explanation: Ans. A. lichen scrofulosorumHistopathology of Lichen scrofulosorum shows hair follicle infiltrated with mononuclear cells and occasional epithelioid cells, and upper dermal granuloma formed by mononuclear cells and epithelioid cells. Ziehl-Neelsen may demonstrate AFB.